509-IPC deals with -
1. Masturbation in public place
2. Inquest
3. Dowry death
4. Act intended to insult the modesty

Correct answer: 4. Act intended to insult the modesty

Explanation: Dowry death-S.304-B I.P.C. Inquest -S.174, Cr.P.C. is police inquest. S.176,Cr.P.C. is magistrate inquest. S.509, I.P.C.: Whoever intending to insult the modesty of any women. Ref: The synopsis of forensic medicine(Dr.K.S.Narayan Reddy), edition 28th page no: 149, 215.